Highest incidence of anemia in the tropics is due to-
1. Hookworm
2. Thread Worm
3. Ascaris
4. Guinea worm

Correct answer: 1. Hookworm